Myosin is attached to m line by
1. Myomesin
2. Alfa actinin
3. Titin
4. All

Correct answer: 1. Myomesin

Explanation: M line is present at the center of h zone Myosin is attached to m line by myomesin Ref:Guyton and Hall textbook of medical physiology 12th edition,page number: 86,87